Differences between primary and secondary polycythemia -a)  Increased red cell massb)  Pruritisc) Hypertensiond) Arterial oxygen tension < 92%
1. c
2. d
3. ab
4. bd

Correct answer: 4. bd